Last ocular muscle to be involved in Grave's disease?
1. Inferior rectus
2. Lateral rectus
3. Superior rectus
4. Inferior oblique

Correct answer: 4. Inferior oblique

Explanation: Ans. is 'd' i.e., Inferior oblique Order of involvement (Mnemonic : IM SLO(W)) :- Inferior rectus > medial rectus > superior rectus > Lateral rectus > obliques.